All of the following statement are true about oculomotor nerve EXCEPT:
1. Supplies extrinsic ocular muscles
2. Its nucleus is located in lower midbrain
3. Its nucleus is located in upper midbrain
4. Palsy may lead to ptosis

Correct answer: 2. Its nucleus is located in lower midbrain

Explanation: Ans. (b) Its nucleus located in lower midbrainRef: A.K. Khurana 6th ed. / 7-8* Location of CN III (occulomotor nerve) nucleus is upper midbrain* Location of CN IV (trochlear nerve) nucleus is in the lower mid-brain.CN, their Respective Nucleus Location and their FunctionCranial NerveNucleus LocationFunctionOculomotor IIIUpper midbrainEyeball movements: extrinsic ocular musclesTrochlear IVLower midbrainEyeball movements: extrinsic ocular musclesAbducens VIPonsEyeball movements: extrinsic ocular musclesHypoglossal XIIMedullaTongue muscles and movements